Nonunion is a very common complication of intracapsular fractures of the neck of femur. Which of the following is not a very important cause for the same?
1. Inadequate immobilization
2. Inadequate blood supply
3. Inhibitory effect of synovial fluid
4. Stress at fracture site due to muscle spasm

Correct answer: 4. Stress at fracture site due to muscle spasm

Explanation: (d) Stress at fracture site due to muscle spasm- Causes of non-union in femoral neck fractures are posterior comminution, inadequate immobilization, inadequate vascularity, inhibition by synovial fluid, vertical fracture line and absence of cambium layer of periosteum.